Which of the following is polar amino acid -
1. Tryptophan
2. Methionine
3. Glutamic acid
4. Isoleucine

Correct answer: 3. Glutamic acid

Explanation: Glutamate/ glutamic acid is a negatively charged or acidic amino acid. Rest all are non-polar in the options Note:-Go through treasure for list of polar and non polar amino acids